Which of the following is not an abdominal procedure for rectal prolapse?
1. Altmeir's procedure
2. Well's operation
3. Lahaul's operation
4. Ripstein's sling operation

Correct answer: 1. Altmeir's procedure

Explanation: Altmeir's procedure involves excision of full thickness of the prolapsed rectum with part of sigmoid followed by anastomosis of remaining part of sigmoid to the anal canal from below and is hence a perineal procedure.